Which of the following does not refer to cannabis?
1. Majoon
2. Charas
3. Afeem
4. Hashish

Correct answer: 3. Afeem

Explanation: Mickey's finn: chloral hydrate Majoon: Cannabis Charas: Cannabis Hashish: Cannabis Afeem: Opium Crack, coke: cocaine Smack: heroin